Facial paralysis is tested by:
1. Whistling
2. Chewing
3. Protruding the tongue
4. Swallowing

Correct answer: 1. Whistling